All are true about vitamin E except
1. Act as antioxidant
2. Prevent lipd peroxidation of cell membrane
3. Water soluble vitamin
4. Chemically tocopheral

Correct answer: 3. Water soluble vitamin

Explanation: The E vitamins consist of eight naturally occurring tocopherols, of which a-tocopherol is the most active (Figure 28.28). The primary function of vitamin E is as an antioxidant in prevention of the nonenzymic oxidation of cell components, for example, polyunsaturated fatty acids, by molecular oxygen and free radicals. A. Distribution and requirements of vitamin E Vegetable oils are rich sources of vitamin E, whereas liver and eggs contain moderate.Deficiency of vitamin E Vitamin E deficiency is almost entirely restricted to premature infants. When observed in adults, it is usually associated with defective lipid absorption or transport. The signs of human vitamin E deficiency include sensitivity of erythrocytes to peroxide and the appearance of abnormal cellular membranes. Ref: Lippincott, 5th edition, page no: 391